Which fungal infection is commonest in neutropenia-
1. Candida
2. Histoplasma
3. Aspergillus niger
4. Aspergillus fumigatus

Correct answer: 1. Candida